Birbeck granules are seen in which of the following?
1. Eosinophils
2. Langerhans cells
3. Reed-Sternberg cells
4. Anitschkow cells

Correct answer: 2. Langerhans cells

Explanation: Langerhans cell inclusions are called Birbeck bodies. The Birbeck bodies have a characteristic racquet shape and are found only in Langerhans cells, making them a specific diagnostic marker for Langerhans cell histiocytosis. The current standard for identifying these cells is staining with an antibody to CD207, which is the protein, langerin, of the Birbeck granules, which is seen only by electron microscopy. Anti-CD1a staining of cells is also considered diagnostic of LCH. LCH usually presents with a skin rash or painful bone lesion. Systemic symptoms of fever, weight loss, diarrhea, edema, dyspnea, polydipsia, and polyuria relate to specific organ involvement. Ref: Lichtman M.A., Shafer J.A., Felgar R.E., Wang N. (2007). C. Histiocytic and Myeloid Dendritic Leukemias. In M.A. Lichtman, J.A. Shafer, R.E. Felgar, N. Wang (Eds), Lichtman's Atlas of Hematology.